All the following criteria present in cell cerebellum except
1. Betz cells
2. Climbing fibers
3. Mossy fibers
4. Purkinje cells

Correct answer: 1. Betz cells

Explanation: (A) Betz cells > The cerebellar cortex contains only five types of neurons: Purkinje, granule, basket, stellate, and Golgi cells. It has three layers: an external molecular layer, a Purkinje cell layer that is only one cell thick, and an internal granular layer.